All of the following are features of splenic rupture on plain X-ra3, abdomen except:
1. Obliteration of psoas shadow
2. Obliteration of splenic outline
3. Obliteration of colonic air hubble
4. Elevation of left hemidiaphragm

Correct answer: 3. Obliteration of colonic air hubble

Explanation: Ans. Obliteration of colonic air hubble